The following statement is false regarding Grave's
1. Hypertrophy/hyperplasia is due to TSH-RAbs
2. Cardiac failure is common
3. Goiter is diffuse and vascular
4. Remissions and exacerbations are not infrequent

Correct answer: 2. Cardiac failure is common

Explanation: Grave's Disease (Diffuse Toxic Goiter)M/C cause of hyperthyroidism, caused by stimulatory autoantibodies to TSH-RMore common in females with peak incidence between 40-60 yrsClinical FeaturesHyperthyroid symptoms- heat intolerance, increased sweating and thirst, weight loss despite adequate caloric intake.Symptoms of adrenergic stimulation- palpitations, nervousness, fatigue, emotional lability, hyperkinesis, and tremorOlder patients present with CVS complications (CVF and CHF)In Grave's disease- Cardiac toxicity is less and CNS toxicity is more. In secondary thyrotoxicosis cardiac toxicity is more common.(Refer: Schwartz's Principles of surgery, 9th edition, pg no: 1353-1354)